Variant of Immunoblastic Lymphoma primarily seen in HIV Patients is
1. Primary Effusion Lymphoma
2. Centroblastic Lymphoma
3. Anaplastic Lymphoma
4. Any of the Above

Correct answer: 1. Primary Effusion Lymphoma

Explanation: Answer is A (Primary Effusion Lymphoma): Primary Effusion Lymphoma (PEL) is a rare variant of Immunoblastic Lymphomas seen primarily in HIV infected patients. Primary Effusion Lymphoma (PEL) is a rare variant of Immunoblastic Lymphomas seen primarily in HIV infected patients 'Two variants of Immunoblastic Lymphomas seen primarily in HIV infected patients are Primary Effusion Lymphoma(PEL) and its solid variant Plasmacvtic lymphoma of the oral cavity' Centroblastic Lymphoma and Anaplastic Lymphomas are variants of Diffuse Large B call Lymphomas and are distinct entities from I mmunoblastic Lymphomas Morphologic Variants of Diffuse Large B Cell Lymphomas ( DLBCL) Centroblastic Immunoblastic Anaplastic